In deep incised wounds, Langer's lines determine?
1. Direction
2. Gaping
3. Shelving
4. Healing

Correct answer: 2. Gaping

Explanation: Ans. is 'b' i.e., Gaping Gaping is more when the skin is cut across the Langer's line. Incised wound It is a clean cut through the tissues (usually, skin and subcutaneous tissue), caused by sharp-edged object. which is longer than its depts, when the weapon is struck or pressed and drawn across the body part, i.e., there is pressure and friction. examples of sharp edged object are knife, blade, razor, scalpel, sword, chopper etc. The characteristic feature of incised wound are : - Length is the greatest dimension (most important) Hair, hair bulb, nerve and vessels are cut --> bleeding is profuse as vessels are cut. Width of injury is more than the thickness of blade, due to gaping of wound. Langer's line of skin determines gaping : gaping is more when cut is across these lines Margins are everted, clear, and clean cut Clean incised wounds heal by primary intention, whereas dirty, infected or large wounds heal by secondary intention, with scar formation. Hesitation cuts (Tentative cuts or trial cuts) are characteristic features of suicidal attempt. Incised wound on nose, ear and genital are usually homicidal and are inflicted on account of jealously or revenge in case of adultery, causing disfiguration